Interleukin - 7 is produced by which one of the following -
1. Macrophage
2. B cells
3. T cells
4. Stromal cells

Correct answer: 4. Stromal cells

Explanation: Spleen,bone marrow stromal cells Reff: Anantganarayan & Panikers textbook of microbiology 9th edition pg:154 table 15.3